Each of the following is a feature of papillary hyperplasia except:
1. It is a proliferative bone disease
2. It can be caused by wearing the dentures at night
3. It can be caused by poor oral hygiene
4. It can be caused by an ill-ﬁtting denture

Correct answer: 1. It is a proliferative bone disease

Explanation: Papillary hyperplasia is characterized by multiple papillary projections of the epithelium caused by local irritation, poor-ﬁtting denture, poor oral hygiene, and leaving dentures in all day and night.